A sound which is most affected in patient of Class III
malocclusion?
1. Linguoalveolar consonants
2. Sibilant sounds
3. Linguoalveolar fricatives
4. Labiodental fricatives

Correct answer: 4. Labiodental fricatives